Yellow discoloration of skin and mucosa is seen in which poisoning ?
1. Nitrous oxide
2. Nitric acid
3. Sulphuric acid
4. Phosphoric acid

Correct answer: 2. Nitric acid

Explanation: Nitric acid causes yellow discoloration of the tissues including the crowns of the teeth & yellow stains on the clothing. 
Color of urine is brown.